Not a feature of congenital rubella classical triad?
1. Cataract
2. CHD
3. Deafness
4. Glaucoma

Correct answer: 4. Glaucoma

Explanation: Ans. is 'd' i.e., Glaucoma Congenital rubella syndrome Maternal viremia associated with rubella infection during pregnancy may result in infection of the placenta and fetus. The most important factor in the pathogenicity of rubella virus for the fetus is gestational age at the time of infection. The earlier in pregnancy infection occurs, the greater the damage to the fetus. Maximum damage to fetus occurs when infection is acquired in first trimester of pregnacy. Infection in early 2nd trimester causes only deafness. Infection after 16 weeks causes no major abnormalities. The classical triad of congenital rubella consists of cataract, deafness and CHD. Presence of IgM in blood at birth is diagnostic, as is the persistance of IgG after 6 months of age.